Which of the following is not true regarding "thumb sucking"?
1. Is a sign of insecurity
2. Pleasurable sensation
3. Leads to dental problems
4. Seen only in child < 4 years of age

Correct answer: 4. Seen only in child < 4 years of age

Explanation: Thumb sucking: common in infancy and in as many as 25% of children age 2 yr and 15% of children age 5 yr. self-soothing behavior Leads to dental problems T/t- Behavioural therapy